Deoxygenated blood from the transverse sinus drains into the _______.
1. Inferior sagittal sinus
2. Confluence of sinuses
3. Sigmoid sinus
4. Straight sinus

Correct answer: 3. Sigmoid sinus

Explanation: Deoxygenated blood from the transverse sinus drains to the sigmoid sinus, which empties into the internal jugular veins. The transverse sinuses receive blood from the confluence of sinuses, which is located in the posterior cranium.